Pellagra is caused by deficiency of:
1. Thiamine
2. Niacin
3. Biotin
4. Ascorbic acid

Correct answer: 2. Niacin

Explanation: Ans. (b) NiacinRef: K. Park 23rd ed. / 619* Pellagra is caused by deficiency of Vitamin B3 (Niacin).* It is seen commonly in maize eating populations because maize is deficient in tryptophan which is usually converted to niacin.* Therefore maize eaters develop deficiency of Niacin which ultimately leads to pellagra.* 4 D's associated to Pellagra:# Diarrhea# Dermatitis# Dememntia# Death* In severe cases of pellagra Casals Necklace is seen which is a scaly pigmented rash around neck, seems like necklace.